The transport medium for stools samples in cholera is -
1. hioglycolate
2. Cary Blair medium
3. Dubos medium
4. Selenite 'F' broth

Correct answer: 2. Cary Blair medium

Explanation: Ans. is 'b' i.e., Cary Blair medium